Shortest acting local anesthetic agent is
1. Procaine
2. Lidocaine
3. Tetracaine
4. Bupivacaine

Correct answer: 1. Procaine

Explanation: Classification Amide type Long acting * Bupivacaine * Levo-Bupivacaine * Ropivacaine * Dibucaine Intermediate acting * Lidocaine (lignocaine) * Mepivacaine * Prilocaine * Articaine Ester type Long acting * Tetracaine (amethocaine) Intermediate acting * Cocaine Short acting * Procaine * Chloroprocaine * Benzocaine * Proparacaine i.e. Procaine Ref: willer 10th ed.